Dream theory of Freud includes all, except
1. Symbolism
2. Projection
3. Displacement
4. Confabulation

Correct answer: 4. Confabulation

Explanation: Ref. Oxford textbook of Psychiatry. Page. 18
 
Dream theory of Freud
Freud classified five separate processes that facilitate dream analysis.
1) Displacement occurs when the desire for one thing or person is symbolized by something or someone else.
2) Projection happens when the dreamer places their own personal desires and wants onto another person.
3) Symbolization is illustrated through a dreamer’s unconscious allowing of repressed urges and desires to be metaphorically acted out.
4) Condensation illustrates the process by which the dreamer hides their feelings and/or urges through either contraction or minimizing its representation into a brief dream image or event
5) Rationalization (also referred to as secondary revision) can be identified as the final stage of dream work in which the dreaming mind intently organizes an incoherent dream into something much more comprehensible and logical for the dreamer
There is no confabulation in dream theory